All of the following are done in case of VVF except
1. Methylene blue 3 swab test
2. Urine culture
3. Cystoscopy
4. MRI

Correct answer: 4. MRI

Explanation: Ans. is d. i.e. MRIRef: Shaw 16th/ed, p221 & 222The Investigation done in VVF are:* Urine culture* USG* IVP* Cystoscopy* Methylene blue 3 swab test